In arsenic poisoning, greatest amount is found in:
1. Muscle
2. Kidney
3. Liver
4. Brain

Correct answer: 3. Liver

Explanation: Ans. Liver